Coral snake is -
1. Hematolytic
2. Neurotoxic
3. Vasculotoxic
4. Musculotoxic

Correct answer: 2. Neurotoxic

Explanation: Types of venom -- may be* Neurotoxic -- cobra, krait,coral snake* Hemotoxic -- vipers* Myotoxic -- sea snake REF: K.S.Narayan Reddy's Synopsis of Forensic Medicine and Toxicology, 29th edition, Chapter 28 page-309,310.